Which intravenous anaesthetic agent should be avoided in patient with Bronchoconstriction.
1. Thiopentone
2. Propofol
3. Etomidate
4. Ketamine

Correct answer: 1. Thiopentone

Explanation: Thiopentone can cause bronchoconstriction/ larygospasm in patients predisposed to it.